A newborn boy was examined to exclude congenital dislocation of the hip (CDH). Which of the following tests is relative to the management of CDH?In Ortolani's sign, abduction and lifting with the fingers produces a corresponding jerk when the dislocated femoral head slides back into the acetabulum
1. The diagnosis should be established between 2 and 4 years of age.
2. Abduction of the flexed hip causes a click (Ortolani's sign)
3. Abduction of the hip is not limited.
4. Apparent lengthening of the thigh with the hip and knee flexed may be seen.

Correct answer: 2. Abduction of the flexed hip causes a click (Ortolani's sign)

Explanation: It is important to recognize congenital dislocation of the newborn soon after birth. Delay in initiating appropriate treatment may lead to permanent hip joint disease. There may be apparent shortening of the thigh, although with the hip and knee flexed.